Which of the following are a non-motile bacteria
1. Helicobacter pylori
2. Klebsiella pneumoniae
3. Vibrio Cholerae
4. E.Coli

Correct answer: 2. Klebsiella pneumoniae

Explanation: All the bacteria in the list except Klebsiella pneumoniae have flagella (or endoflagella) which gives them the property of motility.